Intraocular muscle supplied by Edinger Westphal nucleus is -
1. Superior oblique
2. Ciliary muscle
3. Lateral rectus
4. Medial rectus

Correct answer: 2. Ciliary muscle